The peripheral smear of Hereditiary spherocytosis will show spherocytes -
1. Usually of same size as RBCs
2. Reticulocytosis absent
3. Anemia is negligible
4. Smaller size than RBCs

Correct answer: 4. Smaller size than RBCs

Explanation: Various mutations involving membrane skeletal proteins weakens interactions b/w proteins and cause red cells to lose memb fragments . This causes decrease in size of the spherocytes compared to normal RBCs Ref: Robins 9/e pg:632